Largest carpal bone is
1. Capitate
2. Hamate
3. Pisiform
4. Scaphoid

Correct answer: 1. Capitate

Explanation: CARPAL BONES:-8 in number.Proximal row:-1. Scaphoid- boat-shaped.2. Lunate- moon shape/ crescentic.3. Triquetral-pyramidal.4. Pisiform-pea shaped.Distal row:-1. Trapezium - quadrilateral 2. Trapezoid- shoe shaped.3. Capitate- largest carpal bone.4. Hamate- wedge-shaped.{Reference: Vishram Singh, pg no.33}